Which of the following statements about placebo is True ?
1. It has pharmacodynamic activity
2. It is the active moiety of the tablet
3. It produces same effect in all patients
4. It is the inert substance

Correct answer: 4. It is the inert substance

Explanation: PLACEBO * Placebo is used as a control to compare the active treatment with something with all similarities except the active treatment. Mostly inactive substances are used as placebo but rarely sham surgery can be used as placebo in surgical cases. * Placebo is also known as dummy medication. * It can produce psychological effect. * All people are not placebo responders. Extra Edge Excipients :Inert substance formulated along with active ingredient of medication included in the purposes of long term stabilization or bulking up the drug. Nocebo : Effect is presumably psychogenic when patient anticipate a side effect of medication, they can suffer that effect even if the medication is actually an inert substance.